Circulatory shock is an example of
1. Hypoxic Hypoxia
2. Stagnant Hypoxia
3. Histotoxic Hypoxia
4. Anemic Hypoxia

Correct answer: 2. Stagnant Hypoxia